Regarding Hepatitis E true is -
1. Occurs with Hepatitis B
2. Single stranded DNA virus
3. Occurs along with HIV
4. Mortality increased in pregnancy

Correct answer: 4. Mortality increased in pregnancy

Explanation: A unique feature is a clinical severity and high case fatality rate of 20-40% in a pregnant woman, especially in the last trimester. REF:ANANTHANARAYAN AND PANIKER'S TEXTBOOK OF MICROBIOLOGY 9TH EDITION PAGE NO-550